Tissue adhesive glue contains
1. Cyanoacrylate
2. Ethanolamine
3. Methacrylate
4. Polychloroprene

Correct answer: 1. Cyanoacrylate

Explanation: Tissue adhesive glue can be used instead of sutures, advantage of quicker application but more chance of wound dehisence Cyanoacrylate is the major component.